Systolic murmur in TOF is due to?
1. VSD
2. Pulmonary stenosis
3. ASD
4. None

Correct answer: 2. Pulmonary stenosis

Explanation: b. Pulmonary stenosis(Ref: Nelson's 20/e p 2223-2225, Ghai 8/e p 424-426)Ejection systolic murmur in TOF is due to pulmonary stenosis.The intensity and duration of this systolic murmur is inversely proportional to the severity of TOF.